Which of the following cannot been seen radiographically?
1. Interproximal caries
2. Root caries
3. Deep caries
4. None of the above

Correct answer: 4. None of the above